Darbopoetin is most useful in treatment of anemia caused by ?
1. Chronic renal failure
2. Iron deficiency
3. Chemotherapy induced
4. Aplastic anemia

Correct answer: 1. Chronic renal failure

Explanation: Ans. is 'a' i.e., Chronic renal failure Darbepoetin is hyperglycosylated modified erythropoietin for the treatment of anemia of chronic renal failure which is due to low levels of erythropoietin (kidney is the major source of erythropoietin).